Congenital pseudo arthrosis is seen in which of the following:
1. Hip joint
2. Femur
3. Radius - ulna
4. Tibia

Correct answer: 4. Tibia

Explanation: Tibia is the commonest affected bone in pseudoarthrosis. Congenital pseudarthrosis A pseudoarthrosis is a bone fracture that fails to heal properly on its own Anterolateral bowing of the tibia Associated with neurofibromatosis Treatment is mainly surgical